Test used to compare two qualitative data is -
1. Paired T-test
2. Unpaired T-test
3. Chi-square test
4. AVOVA

Correct answer: 3. Chi-square test

Explanation: Ans. is 'c' i.e., Chi-square test Commonly used Statistical tests Data || | Qualitative(Proportions, percentage, fractions) Quantitative(mean & SD. of BP, Sugar, cholesterol etc) | | | || |Large sample size < 20% of cells have expected value below 5Small sample size > 20% of cells have expected values below 5Two sample group comparisonMore than 2 sample groups ||||||||||||||||||||||||||||| | |Sample is smallSample is large (n > 30)|||||Chi-squaretest Fisher's exact testStudent't-test' Z-testANOVA